Trootter's triad is seen in:
1. Nassopharyngeal fibroma
2. Maxillary sinusitis
3. Nasopharyngeal carcinoma
4. Maxillary carcinoma

Correct answer: 3. Nasopharyngeal carcinoma

Explanation: MNEMONICS: Trotter's triad- seen in Nasopharyngeal carcinoma (NPC) N - Neuralgia ipsilateral temporal (CN-5)P - Palatal paralysis (CN-10)C - Conductive deafness